Meniere's disease is characterised by all except:
1. Diplopia
2. Tinnitus
3. Vertigo
4. Fullness of pressure in ear

Correct answer: 1. Diplopia

Explanation: (a) Diplopia(Ref. Cummings, 6th ed., 2331)The patient is fully conscious and oriented during an attack of Meniere.Meniere being a disturbance of peripheral vestibular system is therefore not characterised by any focal (such as diplopia, dysarthria, paresthesia, etc.) or generalised neurological symptoms like loss of consciousness, seizures, etc.The neurological symptoms accompany a central vestibular disturbance.However, vertigo of Meniere may be associated with vagal symptoms i.e. diaphoresis, pallor, nausea, vomiting, abdominal cramps, diarrhoea and bradycardia.